Which of the following is pure histological landmark for termination of cleaning and shaping of root canal
1. CDJ
2. CEJ
3. DEJ
4. None

Correct answer: 1. CDJ

Explanation: Cementodentinal junction is considered as a pure histological landmark for termination of cleaning/shaping and obturation.